Civatte bodies are a feature of ?
1. Lichen simplex chronicus
2. Lichen planus
3. Lichen sclerosus
4. All of the above

Correct answer: 2. Lichen planus

Explanation: Ans. is 'b' i.e., Lichen planus Civatte bodies (cytoid bodies/ colloid bodies/ hyaline bodies)* A characteristic histopathological feature of lichen planus* They are apoptotic basal cells present at dermo-epidermal junction and papillary dermis. Formed my macrophages engulfing the melanin.Other histopathological features of lichen planus* Hydropic degeneration of basal cells (Pathognomic feature)* Hypergranulosis (thickening of the granular layer) (focal hypergranulosis clinically creates Wickham striae)* Hyperkeratosis (thickening of stratum corneum)* Acanthosis (thickening of stratum Malpighi)* Sub-epidermal lichenoid band (deposition of lymphocytes 8c histiocytes in the upper dermis)* Pigment incontinence (dropping of melanin from damaged Keratinocytes of epidermis into dermis)* Max Joseph space /cleft (separation of the epidermis in small clefts)* Sawtooth appearance (flattened rete ridges)